Which cells of the mononuclear phagocyte sys- tem are presnt in liver -
1. Kupffer cells
2. Merkel cells
3. Gittle cells
4. Berger cells

Correct answer: 1. Kupffer cells

Explanation: Ans. is 'a' i.e., Kupffer cells o Scattered Kupffer cells of the mononuclear phagocyte system are attached to the luminal face of endothelial cells of the hepatic sinusoids# Lung: 'Alveolar macrophages' or 'Dust' cells# Brain : Microglia# Liver: Kupffer cells# Bone: Osteoclasts# Skin: Langerhans cells# Connective tissue : Histiocytes (tissue macrophages)# Placenta : Hoffbauer cells# Kidney : Mesangial cells# Spleen : Littoral cells# Synovium : Type-A lining cells# Spleen : Bed pulp sinusoidal lining cells